VLBW baby is one whose weight less than?
1. 1 kg
2. 2 kg
3. 1.5 kg
4. 2.5 kg

Correct answer: 3. 1.5 kg

Explanation: Very Low birth weight (VLBW) neonate: weight less than 1500 g at birth irrespective of the gestational age.